Increased ICT is associated with all except:
1. Paraparesis
2. Abducent paralysis
3. Headache
4. Visual blurring

Correct answer: 1. Paraparesis

Explanation: Increased intra cranial tension (ICT) is associated with headache, vomiting, visual blurring and diplopia (abducent paralysis). Paraparesis maybe a localizing sign but rarely associated with increased intracranial tension. Ref: API 6th Edition, Page 707, 708; Davidson's principles and practice of Medicine, 20th Edition, Chapter 26, Page 1235.